Which of the below given bone is best suitable for sex determination
1. Skull
2. Pelvis
3. Femur
4. Tibia & Fibula

Correct answer: 2. Pelvis

Explanation: Ans. (B) Pelvis"Krogman's degree of accuracy"The accuracy of estimating the sex from skeletal remains depends upon the number of bones available.If the entire skeleton is available, the accuracy is 100%;Pelvis alone is available, it is 95%Skull alone, it is 90%Skull + pelvis, the accuracy is 98%